Epiretinal membrane is seen in -
1. Posterior vitreous detachment
2. Optic neuritis
3. Papilloedema
4. Glaucomatous optic atrophy

Correct answer: 1. Posterior vitreous detachment

Explanation: Ans. is 'a' i.e. Posterior vitreous detachment o Epiretinal membrane is a disease of the eye in response to changes in the vitreous humor or more rarely, diabetes. It is also called macular pucker.o Sometimes, as a result of immune system response to protect the retina, cells converge in the macular area as the vitreous ages and pulls away in posterior vitreous detachment (PVD).o PVD can create minor damage to the retina, stimulating exudate, inflammation, and leucocyte response. These cells can form a transparent layer gradually and, like all scar tissue, tighten to create tension on the retina which may bulge and pucker (e.g., macular pucker), or even cause swelling or macular edema.